Which of the following is not true about Xenon anaesthesia
1. Non explosive
2. Minimal cardiovascular side effects
3. slow induction and slow recovery
4. Low blood gas solubility

Correct answer: 3. slow induction and slow recovery

Explanation: Xe has a very low blood-gas solubility coefficient (0.115) and produces rapid induction of and emergence from anesthesia. Xe is not teratogenic, does not undergo biotransformation, and exerts anesthetic and analgesic effects under normal atmospheric pressure conditions (1.0 MAC = 71%). Xe is derived from a particle decay of radioactive heavy metals such as uranium and thorium. Xe naturally occurs in the atmosphere in trace amounts (1:11.5 million ) and is extracted from liquefied air by sequential cryogenic fractional distillation. Thus, Xe does not affect the ozone layer, unlike N2O and volatile anesthetics. This latter effect may be particularly important because currently used inhaled anesthetics have been identified as strong greenhouse gases that contribute to total anthropogenic radiative forcing of global climate change. Xe is expensive to produce because of its rarity; only a finite amount is available for use as a general anesthetic. Total world production of Xe is estimated to be approximately 9 to 12 million liters per year. Despite its relative scarcity and high production costs, Xe was approved for clinical use in Russia, Germany, France, and the United Kingdom during the past decade. Unlike volatile anesthetics and N2O, which produce diverse hemodynamic actions in the absence or presence of heart disease, Xe is essentially devoid of major cardiovascular effects. For example, Xe did not alter the amplitudes of Na+, L-type Ca2+, and inward-rectifier K+ channel currents over a range of voltages in the isolated cardiac myocyte nor did the anesthetic noble gas affect indices of cardiac function in a Langendorff heart preparation. Systemic hemodynamics were unchanged and recovery from anesthesia was faster in patients who received 60% Xe-O2 compared with 60% N2O-0.5% isoflurane during elective surgery. Similarly, mean arterial pressure was maintained at conscious values during Xe-remifentanil but not propofol-remifentanil anesthesia in another study of patients undergoing elective surgery. Ref: Miller's anesthesia 8th edition Ref: Morgan & Mikhail's clinical anesthesiology 6e